All of the following are peptide-based except
1. ACTH
2. GnRH
3. Thyroxin
4. TRH

Correct answer: 3. Thyroxin

Explanation: Thyroxin is a lipid-soluble hormoneRef: DM Vasudevan, 7th edition, page no: 672